the parasympathetic nerves that produce uterine inhibition and vasodilatation of uterine vessels are arise from which segments of the vertebrae ?
1. S2 - S4
2. S1 - S4
3. L4 - S3
4. L4 - S2

Correct answer: 1. S2 - S4

Explanation: Sympathetic nerves from T12, LI segment of spinal cord produce uterine contraction and vasoconstriction. The parasympathetic nerves (S2, S3, S4) produce uterine inhibition and vasodilatation. However, these effects are complicated by the pronounced effects of hormones on the genital tract. Pain sensation from the body of the uterus pass along the sympathetic nerves, and from the cervix, along the parasympathetic nerves. Ref : B D Chaurasia's Human Anatomy , sventh edition , volume 2 , pg.no., 422,423.